All are true about Pseudofractures except?
1. Specific for osteomalacia
2. Often have symmetrical distribution
3. Occurs at right angles to the long axis of the long bones
4. Pubic rami, femoral neck and scapula are common sites

Correct answer: 1. Specific for osteomalacia

Explanation: Ans APseudo fractures though associated with osteomalacia are not specific for it. Instead they are seen in many other conditions like OGI, hyperparathyroidism, Paget's disease.